Cardiac anomaly associted with TOF False is -
1. Cyanotic heart disease
2. RVH
3. ASD
4. VSD

Correct answer: 3. ASD

Explanation: Ans. is 'c' i.e., ASD Tetralogy of falloto Cyanotic heart disease (MC).o Defect in infundibular septum leads to :Pulmonary stenosisVSD (Not ASD)Dextroposition and overriding of aorta.Right ventricular hypertrophy (NOT LVH).o Pink TOF (Acyanotic TOF) when PS is mild to moderate balanced shunt tnt across the VSD, pt not have cyanosis.